The most common clinical pattern of basal cell carcinoma is
1. Nodular
2. Morphea form
3. Superficial
4. Keratotic

Correct answer: 1. Nodular